Glucose is transported in muscle cells by
1. GLUT 1
2. GLUT 2
3. GLUT 3
4. GLUT 4

Correct answer: 4. GLUT 4

Explanation: GLUT 4 Found in adipose tissues and striated muscle (skeletal muscle and cardiac muscle).Ref: Ganong's review of medical physiology; 24th edition